1 yr child weighing 6 kg is suffering from Acute Gastroenteritis along with signs of sunken eyes & skin pinch going back to normal very rapidly. What will be your management?
1. RL infusion 120 ml in the first hour followed by 360 ml in the next 5 hours
2. RL INFUSION 180 ml in the first hour followed by 420 ml in the next 5 hours
3. RL INFUSION 180 ML IN the first hour followed by 480 ml in the next 5 hours
4. RL INFUSION 240 ml in the first hour followed by 360 ml in the next 5 hours

Correct answer: 2. RL INFUSION 180 ml in the first hour followed by 420 ml in the next 5 hours

Explanation: * Severe dehydration constitutes a medical emergency requiring immediate resuscitation with intravenous fluids. * Intravenous access should be obtained, and patients should be administered a bolus of 20-30 mL/kg lactated Ringer's (LR) or normal saline (NS). * If pulse, perfusion, and/or mental status do not improve, a second bolus should be administered. * After this, the patient should be given an infusion of 70 mL/kg LR or NS over 5 hours (children < 12 months) or 2.5 hours (older children). * If no peripheral veins are available, an intraosseous line should be placed. Serum electrolytes, bicarbonate, urea/creatinine, and glucose levels should be sent. Reference: GHAI Essential pediatrics, 8th edition